Broncho-pneumonia due to measles occurs due
1. Sinusitis
2. Immunomodulation
3. Bronchial obstruction
4. Aspiration

Correct answer: 2. Immunomodulation

Explanation: Question repeated